Aplastic anemia with skeletal abnormalities, short stature and pancreatic exocrine failure suggests a diagnosis of -
1. Fanconi anaemia
2. Diamond-Black fan anaemia
3. G6PD deficiency
4. Schwachman-Diamond syndrome

Correct answer: 4. Schwachman-Diamond syndrome

Explanation: Answer- D. Schwachman-Diamond syndromeSchwachman-Diamond syndrome is the second Most Common Cause of Pancreatic Exocrine Insuficiency afier Cystic Fibrosis.Features of Schwachman- Diamond syndrome-i) PancreaseLow serum trypsinogenElevated feacal fatii) Hematological disorder-NeutropeniaAnemia (aplastic)Pancytopenia (aplastic anemia)iii) Skeletal abnormalities-Delayed bone ageProgressive deformuticsPathological fracturesAbnormal devlopement of growth plate